Which one of the following is not a CT feature of Adrenal adenoma?
1. Low attenuation
2. Homogeneous density and well defined borders
3. Enhances rapidly, contrast stays in it for relatively longer time and washes out late
4. Calcification is rare

Correct answer: 3. Enhances rapidly, contrast stays in it for relatively longer time and washes out late

Explanation: Enhances rapidly, contrast stays in it for relatively longer time and washes out late Adrenal adenomas show rapid contrast enhancement and rapid subsequent washout; whereas nonadenomas (adrenal ca, mets and pheochromocytomas) show slower washout. Characterstics of adenomas (which help differentiate it from nonadenomas) Homogenous well defined rounded tumor; usually smaller than 4 cm Low attenuation on CT Signal loss on MR chemical shift imaging Contrast enhancement pattern (adenomas show rapid enhancement and rapid washout whereas nonadenomas show delayed washout) Findings s/o malignancy in an incidentally discovered adrenal mass (Harrison 17/e p2258) - large size >4 cm - tumor inhomogenesity and irregular margins - calcifications - high attenuation of CT - no loss of signal on Chemical shift MR